Bosentan is
1. Endothelin receptor blocker
2. ACEI
3. IIb/IIIa receptor blocker
4. None of the above

Correct answer: 1. Endothelin receptor blocker

Explanation: It is a dual endothelial receptor antagonist. FDA has approved the use of Bosentan for Raynaud's phenomenan, pulmonary artery hypertension. Ref: HL Sharma 3rd ed,Vasoactive peptides